Which of the following pain is not referred to ear
1. Pharynx
2. Teeth
3. Angle of TM joint
4. Vestibule of nose

Correct answer: 4. Vestibule of nose

Explanation: Reffered pain to ear: Benign ulcers or malignant lesions of the base of tongue tonsil pillars palate Ref: Dhingra 7e pg 435.